Hydrogen peroxide is used in all of the following chemical tests for blood, EXCEPT:
1. Benzedine test
2. Phenophthalein test
3. Ohotoluidine test
4. Teichmann's test

Correct answer: 4. Teichmann's test

Explanation: Teichman's test uses Sodium chloride & glacial acetic acid; it doesn't use Hydrogen peroxide. All other test use Hydrogenperoxide, which acts as the oxidizing agent, the respective reagents produces a colored compound on coming in contact with blood stain. Ref: The Essentials of Forensic Medicine & Toxicology by K S Narayan Reddy, 27th Edition, Pages 394, 395